Which of the following is a potassium sparing drug:
1. Indapamide
2. Frusemide
3. Spironolactone
4. Mannitol

Correct answer: 3. Spironolactone

Explanation: Ans. C: Spironolactone Potassium-sparing diuretics do not promote the secretion of potassium into the urine; thus, potassium is spared and not lost as much as in other diuretics. The term "potassium-sparing" refers to an effect rather than a mechanism or location; nonetheless, the term almost always refers to two specific classes that have their effect at similar locations: Aldosterone antagonists: Spironolactone, which is a competitive antagonist of aldosterone. Aldosterone normally adds sodium channels in the principal cells of the collecting duct and late distal tubule of the nephron. Spironolactone prevents aldosterone from entering the principal cells, preventing sodium reabsorption. A similar agent is potassium canreonate. Epithelial sodium channel blockers: amiloride and triamterene.